Flower vase appearance on IVP is seen in:
1. Horseshoe kidney
2. Polycystic kidney
3. Pyonephrosis
4. Congenital megaureter

Correct answer: 1. Horseshoe kidney

Explanation: Ans. Horseshoe kidney